Mallampati score is done for assessing:
1. Size of the airway
2. Oral cavity of patient for intubation
3. Mobility of neck
4. Size of ET tube

Correct answer: 2. Oral cavity of patient for intubation

Explanation: Ans. (b) Oral cavity of patient for intubation* Mallampati score, also known as Mallampati classification is used to assess the oral cavity of patient to predict the ease of intubation.* It is assessed by looking at the anatomy of the oral cavity; specifically, it is based on the visibility of the base of soft palate, uvula, fauces, and pillars.* A high Mallampati score (class 3 or 4) is associated with more difficult intubation as well as a higher incidence of sleep apnea.MODIFIED MALLAMPATI SCORING* Class I: Soft palate, uvula, fauces, pillars visible.* Class II: Soft palate, uvula, fauces visible.* Class III: Soft palate, base of uvula visible.* Class IV: Only hard palate visible